Non-functional enzymes are all, EXCEPT:
1. Alkaline phosphatase
2. Acid phosphatase
3. Lipoprotein lipase
4. Gamma glutamyl transpeptidase

Correct answer: 3. Lipoprotein lipase

Explanation: Lipoprotein lipase is a functional enzyme. It is located on the walls of blood capillaries, anchored to the endothelium by negatively charged proteoglycan chains of heparan sulfate. It has been found in heart, adipose tissue, spleen, lung, renal medulla, aorta, diaphragm, and lactating mammary gland, although it is not active in adult liver. It hydrolyzes lipids in lipoproteins, such as those found in chylomicrons and very low-density lipoproteins (VLDL), into free fatty acids and glycerol molecule. Ref: Botham K.M., Mayes P.A. (2011). Chapter 25. Lipid Transport & Storage. In D.A. Bender, K.M. Botham, P.A. Weil, P.J. Kennelly, R.K. Murray, V.W. Rodwell (Eds), Harper's Illustrated Biochemistry, 29e.